A 50 year old diabetic man approaches you with queries about diet with low glycemic index. Which of the following food items has a low glycemic index?
1. Brown rice
2. White bread
3. Corn flakes
4. Whole grains

Correct answer: 4. Whole grains

Explanation: Corn flakes, white bread, baked potato, some varieties white rice etc belong to high glycemic index food items. Brown rice and basmati rice has medium glycemic index. Whole grains, pasta, beans and lentils are low glycemic index food item. Low glycemic index food items are better in diabetic and obese people as the spike in postprandial blood glucose is lesser and he action is more prolonged. Ref: Park, 21st Edition, Page 566.